All are risk factors for carcinoma endometrium EXCEPT : All are risk factors for carcinoma endometrium EXCEPT :
1. Multiple sexual partners
2. Diabetes
3. Hypertension
4. Infertility

Correct answer: 1. Multiple sexual partners

Explanation: Multiple sexual partners